Most common cause of nephrotic range proteinuria in an adult is-
1. Diabetes Mellitus
2. Amyloidosis
3. Hypertensive nephropathy
4. Wegner'sGranulomatosis

Correct answer: 1. Diabetes Mellitus

Explanation: Most common cause of nephrotic syndrome in Elderly people -membranous glomerulonephritis(membranous nephropathy). Children-minimal change disease Most common cause of chronic renal failure is DIABETIC NEPHROPATHY . Pathological changes seen -mesangial sclerosis ,eosinophilic PAS +nodules called -kimmelsteil wilson nodules Immunofluorescence-non specific deposition of IgG and complement. On Electron microscopy-no immune deposits are seen. Earliest manifestation of DN-microalbuminuria(30-300 mg/24 hrs) In advanced DN, kidneys are enlarged in contrast to many other Glomerular diseases where kidneys decrease in size. Ref:Harrison 20 th edition pg no. 2144